An 18-year-old man is found to have metabolic alkalosis and hypokalemia. What could this be secondary to?For the above patient with a medical problem, select the most likely diagnosis or renal impairment.
1. polycystic kidney disease
2. medullary sponge kidney
3. medullary cystic disease
4. Bartter syndrome

Correct answer: 4. Bartter syndrome

Explanation: Bartter syndrome and Liddle syndrome can be inherited in an autosomal dominant fashion. Patients with Liddle syndrome have hypertension, whereas those with Bartter syndrome do not. In both syndromes, hypokalemia is prominent.